All are seen in Malignant hyperthermia except :
1. Bradycardia
2. Hyperkalemia
3. Metabolic acidosis
4. Hypertension

Correct answer: 1. Bradycardia